Perforins are produced by -
1. Cytotoxic T cells
2. Suppressor T cells
3. Memory helper T cells
4. Plasma cells

Correct answer: 1. Cytotoxic T cells

Explanation: A protein found in the cytoplasmic granules of both T-cytotoxic lymphocytes and natural killer cells Reff: Ananthanarayan & Panikers textbook of microbiology 9th edition pg: 137